All are true about CBD stones except
1. Associated with GB stones
2. Primary stones are usually brown
3. Laboratory values may be normal in one third cases of choledocholithiasis
4. Retained stones are discovered after 2 years of cholecystectomy

Correct answer: 4. Retained stones are discovered after 2 years of cholecystectomy

Explanation: Choledocholithiasis CBD stones are classified by point of origin Found in 6-12% of patients with GB stones Retained stones discovered within 2 years of cholecystectomy Recurrent stones detected >2 years following cholecystectomy Ref : Sabiston 20th edition Pgno :1494